Watson and Crick are associated with ?
1. Discovery of helical structure of DNA
2. Association of Helicobacter pylori with chronic gastritis
3. Discovery of HIV virus
4. None of the above

Correct answer: 1. Discovery of helical structure of DNA

Explanation: Ans. is 'a' i.e., Discovery of helical structure of DNA